All of the following are used for measurement of ECF volume except
1. Antipyrine
2. Inulin
3. Mannitol
4. Sodium Thiocyanate

Correct answer: 1. Antipyrine

Explanation: Antipyrine is used for measurement of total body water.